Absolute contraindications for fibrinolytic therapy are?
1. Prior intracranial hemorrhage
2. Ischemic stroke within 3 months
3. Suspected aortic dissection
4. All of above

Correct answer: 4. All of above

Explanation: Ans. D. All of abovea. The major toxicity of all thrombolytic agents is hemorrhage, which results from two factors: 1) the lysis of fibrin in hemostatic plugs at sites of vascular injury, and 2) the systemic lytic state that results from systemic plasmin generation, which produces fibrinogenolysis and degradation of other coagulation factors (especially factors V and VIII).b. The contraindications to fibrinolytic therapy are listed in Table. Patients with these conditions should not receive such treatment.1. Absolute and Relative Contraindications to Fibrinolytic TherapyAbsolute ContraindicationsPrior intracranial hemorrhageKnown structural cerebral vascular lesionKnown malignant intracranial neoplasmIschemic stroke within 3 monthsSuspected aortic dissectionActive bleeding or bleeding diathesis (excluding menses)Significant closed-head trauma or facial trauma within 3 monthsRelative ContraindicationsUncontrolled hypertension (systolic blood pressure >180mm Hg or diastolic blood pressure >110mmHg)Traumatic or prolonged CPR or major surgery within 3 weeksRecent (within 2-4 weeks) internal bleedingNon compressible vascular puncturesFor streptokinase: prior exposure (more than 5 days ago) or prior allergic reaction to streptokinasePregnancyActive peptic ulcerCurrent use of warfarin and INR >1.7